Most characteristic feature of elapidae snake envenomation:
1. Bleeding manifestation
2. Neuro-paralytic symptoms
3. Rhabdomyolysis
4. Cardiotoxicity

Correct answer: 2. Neuro-paralytic symptoms

Explanation: Ans. Neuro-paralytic symptoms